All are non-proliferative GN except -
1. Membranous GN
2. Mesangiocapillary GN
3. Diabetic glomerulosclerosis
4. Amyloidosis

Correct answer: 2. Mesangiocapillary GN